In erythroblastosis fetalis, the oral finding is/are:
1. Deposition of pigments leading to green, brown & blue hue
2. Enamel hypoplasia
3. Rh-hump
4. All of the above

Correct answer: 4. All of the above

Explanation: Erythroblastosis fetalis may be manifested in the teeth by the deposition of blood pigment in the enamel and dentin of the developing teeth, giving them a green, brown or blue hue.
Enamel hypoplasia is also reported occurring in some cases of erythroblastosis fetalis. This usually involves the incisal edges of the anterior teeth and the middle portion of the deciduous cuspid and first molar crown. Here, a characteristic ring-like defect occurs which has been termed the Rh hump by Watson.
Ref: Shafer's textbook of oral pathology 7th edition page 770-771